Intra epidermal blisters are seen in:
1. Bullous pemphigoid
2. Pemphigus folliaceous
3. Dermatitis herpeteformis
4. Bullous SLE

Correct answer: 2. Pemphigus folliaceous

Explanation: B i.e. Pemphigus folliaceous